Waldeyer's ring include all except:
1. Palatine tonsil
2. Tubal tonsil
3. Peyer's patch
4. lingual tonsil

Correct answer: 3. Peyer's patch

Explanation: Ans. C. Fever's patchWaldeyer's lymphatic ring is a ringed arrangement of lymphoid tissue in the pharynx. Waldeyer's ring surrounds the naso- and oropharynx.The ring consists of the (from top to bottom):a. 1 pharyngeal tonsil (or "adenoids"), are located on the roof of the nasopharynx, under the sphenoid bone.b. 2 tubal tonsils on each side, where each auditory tube opens into the nasopharynxc. 2 palatine tonsils (commonly called "the tonsils"), are located in the oropharynxd. 1 group of lingual tonsil are located on the back part of the tongue